Wrist joint is -
1. Hinge joint
2. Saddle joint
3. Ellipsoid joint
4. Ball and socket joint

Correct answer: 3. Ellipsoid joint

Explanation: The radiocarpal joint or wrist joint is an ellipsoid joint formed by the radius and the articular disc proximally and the proximal row of carpal bones distally. The carpal bones on the ulnar side only make intermittent contact with the proximal side — the triquetrum only makes contact during ulnar abduction. The capsule, lax and un-branched, is thin on the dorsal side and can contain synovial folds. The capsule is continuous with the midcarpal joint and strengthened by numerous ligaments, including the palmar and dorsal radiocarpal ligaments, and the ulnar and radial collateral ligaments.